Industrial worker with blue lines on gums. Most probably due to:
1. Arsenic poisoning
2. Lead poisoning
3. Mercury poisoning
4. Copper poisoning

Correct answer: 2. Lead poisoning

Explanation: Ans. Lead poisoning